All of the following are characteristics of Lower motor neuron lesion except
1. Fasciculations
2. Rigidity
3. Flexor plantar
4. Wasting

Correct answer: 2. Rigidity

Explanation: (B) Rigidity # Characteristics of Lower motor neuron lesion> Muscle paresis or paralysis fibrillations fasciculations hypotonia or atonia- Tone is not velocity dependent.> Areflexia or hyporeflexia -Along with deep reflexes even cutaneous reflexes are also decreased or absent> Strength -weakness is limited to segmental or focal pattern, Root innervated pattern> Extensor Babinski reflex is usually absent. Muscle paresis/paralysis, hypotonia/atonia, and hyporeflexia/areflexia are usually seen immediately following an insult.> Muscle wasting, fasciculations and fibrillations are typically signs of end-stage muscle denervation and are seen over a longer time period. Another feature is the segmentation of symptoms - only muscles innervated by the damaged nerves will be symptomatic.